All are components of Laurence Moon Biedl syndrome, EXCEPT -
1. Digital anomaly
2. Asthenic built
3. Intellectual disability
4. Hypogonadism

Correct answer: 2. Asthenic built

Explanation: In Lawrence Moon - Beidle syndrome the patient is obese, not asthenic
Other features are -

Intellectual disability
Retinitis pigmentosa
Polydactyly
Hypogonadotropic hypogonadism (This causes Amenorrhoea)